All are true regarding hypertrophic cardiomyopathy except-
1. Digoxin is helpful
2. Irregular thickness of septa
3. Dynamic obstruction
4. Double apical impulse

Correct answer: 1. Digoxin is helpful

Explanation: Ref :Harrison's 19th ERT pg 1568 Digoxin increases the contractility of heart. As contractility increases there is higher chance of obstruction, as the hypertrophied septum comes in proximity with the anterior leaflet of the mitral Valve.